Citric acid concentration in MTAD is:
1. 4.25%
2. 3.75%
3. 1%
4. 0.50%

Correct answer: 1. 4.25%

Explanation: Composition

Tetracycline:

– It is bacteriostatic, broad spectrum antibiotic.
– It has low pH and acts as calcium chelator.
– It removes smear layer.
– It has property of substantivity. 
– It promotes healing.

Citric acid (4.25%): It is bactericidal in nature and removes smear layer.
Detergent (Tween 80): It decreases surface tension.